Acute fatty liver of pregnancy is seen usually in?
1. 3rd trimester
2. 1st trimester
3. Immediate postpartum
4. Intrapartum

Correct answer: 1. 3rd trimester

Explanation: Acute fatty liver almost always manifests late in pregnancy with a mean gestational age of 37 weeks-- Mostly primigravida and also more in multifetal gestation Clinical features Persistent nausea and vomiting malaise, anorexia epigastric pain progressive jaundice Previa ecclampsia hypofibrinogenemia hypoalbuminemia hypocholesterolemia prolonged clotting times.